Which of the following has small representation in somatosensory area of cerebral cortex?
1. Lips
2. Thumb
3. Tounge
4. Trunk

Correct answer: 4. Trunk

Explanation: Trunk region has the smallest representation on the cerebral cortex Ref: guyton and hall textbook of medical physiology 12 edition page number:841,842,843